All of the following conditions are contraindications for the use of Mirena a progestin releasing intrauterine device, EXCEPT:
1. Carcinoma of the breast
2. Women with menorrhagia
3. Acute liver disease or tumor
4. Hypersensitivity to any component of this product

Correct answer: 2. Women with menorrhagia

Explanation: Menorrhagia is not a contraindication for the use of levonorgestrel intrauterine system(Mirena). It is used in the treatment of menorrhagia because it significantly reduces the monthly blood loss. It is also superior to combined oral contraceptives in the treatment of dysmenorrhea. Contraindications specific to the use of Mirena are: Acute liver disease or tumor Known or suspected carcinoma of the breast Hypersensitivity to any component of this product Contraindications to Use of an Intrauterine Device: Pregnancy or suspicion of pregnancy Genital actinomycosis Acute pelvic inflammatory disease Genital bleeding of unknown etiology Woman or her partner having multiple sexual partners A previously inserted IUD that has not been removed Abnormalities of the uterus resulting in distortion of the uterine cavity Postpartum endometritis or infected abortion in the past 3 months Known or suspected uterine or cervical neoplasia, or unresolved abnormal cytological smear Untreated acute cervicitis or vaginitis, including bacterial vaginosis, until infection is controlled History of ectopic pregnancy or condition that would predispose to ectopic pregnancy Ref: Cunningham F.G., Leveno K.J., Bloom S.L., Hauth J.C., Rouse D.J., Spong C.Y. (2010). Chapter 32. Contraception.